The most common late CNS complication of HIV is:
1. Dementia
2. Ataxia
3. Seizures
4. Delirium

Correct answer: 1. Dementia

Explanation: Ans. is 'a' i.e., Dementia